A 3 year old boy with normal developmental milestones with delayed speech and difficulty in communication and concentration is not making friends. Most probable diagnosis is:
1. Autism
2. ADHD
3. Intellectual disability
4. Specific learning disability

Correct answer: 1. Autism

Explanation: Autism is a neurologic disorder characterized by, Qualitative impairments in social interaction Qualitative impairments in communication Restricted repetitive and stereotyped patterns of behavior, interests, and activities Ref: Goldson E., Reynolds A. (2012). Chapter 3. Child Development & Behavior. In W.W. Hay, Jr., M.J. Levin, R.R. Deterding, J.J. Ross, J.M. Sondheimer (Eds), CURRENT Diagnosis & Treatment: Pediatrics, 21e.